The following is not true about Nesidioblastosis
1. Presents with hypoglycemic attacks
2. More common in adults than in children
3. Histopathology shows hyperplasia of islet cells
4. Diazoxide is used for treatment

Correct answer: 2. More common in adults than in children

Explanation: The majority of cases have been documented in infants and children, with few cases seen in adults.Nesidioblastosis is characterized by severe recurrent hypoglycemia with hyperinsulinemia requiring intravenous glucose administration and inappropriately low plasma level of ketone bodies and free fatty acids. Ref ganong's review of medical physiology 25e